Precapillary pulmonary hypertension is caused by all except
1. Mitral stenosis
2. Pulmonary vasculitis
3. Primary pulmonary hypertension
4. Thromboembolism

Correct answer: 1. Mitral stenosis

Explanation: Category 2. Pulmonary venous hypertensionKey feature: elevation in PAP with elevation in PCWPIncludes:Left-sided atrial or ventricular heart diseaseLeft-sided valvular heart diseasePulmonary venous obstructionPulmonary Veno-occlusive disease (PVOD)Ref: Harrison's 18/e p2077, 2079